What is the incidence of chromosomal abnormality per 1000 live births -
1. 1.6
2. 3.6
3. 5.6
4. 7.6

Correct answer: 3. 5.6

Explanation: The incidence of chromosomal abnormalities is 5.6 per 1000 live births of these 2 per 1000 represent sex aneuploidies, 1.7 per 1000 is autosomal aneuploidies and 1.9 per 1000 is chromosomal translocations ref ;(page no;822)23rd edition of PARK's textbook of Preventive and Social medicinel medicine